Birbeck’s granules in the cytoplasm are seen in:
1. Langerhans cells
2. Mast cells
3. Myelocytes
4. Thrombocytes

Correct answer: 1. Langerhans cells

Explanation: Birbeck granules are rod Shaped/Tennis-racket shaped cytoplasmic organelles with a central linear density and a striated appearance.
They are diagnostic microscopic feature in Langerhans cell histiocytosis (Histiocytosis X)